Soot particle in respiratory tract indicates death due to:
1. Hanging
2. Drowning
3. Burns
4. Road Traffic Accident

Correct answer: 3. Burns

Explanation: Ans. C i.e. Burns Antemortem burns The presence of carbon particles in the terminal bronchioles on histological examination is absolute proof of life during fire. The soot is better seen by spreading a thin film of mucus on a clean sheet of white paper. Presence and amount of soot in air-passage depends on the type of fire, the amount of smoke produced and duration of survival in smoke contaminated atmosphere.